Ischemic necrosis' in alkali burn is -
1. Stage I
2. Stage II
3. Stage III
4. Stage IV

Correct answer: 1. Stage I

Explanation: Clinical feature can be divided into three stages: 1. Stage of acute ischaemic necrosis. In this stage: * Conjunctiva shows marked oedema, congestion, widespread necrosis and a copious purulent discharge. * Cornea develops widespread sloughing of the epithelium, oedema and opalescence of the stroma. * Iris becomes violently inflamed and in severe cases both iris and ciliary body are replaced by granulation tissue. 2. Stage of reparation. In this stage, conjunctival and corneal epithelium regenerate, there occurs corneal vascularization and inflammation of the iris subsides. 3. Stage of complications. This is characterised by development of symblepharon, recurrent corneal ulceration and development of complicated cataract and secondary glaucoma Ref khurana 6/e p 439